Which of the following drug is least associated with extra-pyramidal side effects?
1. Chlorpromazine
2. Fluphenazine
3. Carbamazepine
4. Haloperidol

Correct answer: 3. Carbamazepine

Explanation: Carbamazapine acts on Sodium channel whereas extra pyramidalsymptoms are due to dopamine receptors. Antipsychotic drugs can result in extra-pyramidalsymptoms Typical antipsychotics act by blocking D2 receptors. This leads to two main adverse effects: Hyperprolactinemia Extrapyramidal symptoms Examples of typical antipsychotics are Haloperidol Droperidol Chlorpromazine Thioridazine Fluphenazine